Thyroid peroxidase is required for all of the following steps in thyroid hormones synthesis except:
1. IODIDE UPTAKE
2. OXIDATION OF IODIDE
3. IODINATION OF ACTIVE IODIDE
4. SYNTHESIS OF IODOTHYRONINES

Correct answer: 1. IODIDE UPTAKE

Explanation: the iodide uptake is dependent on "IODIDE PUMP" Ref: guyton and hall textbook of medical physiology 12 edition page number:565,566,567